Cell lining of common bile duct is ?
1. Stritified Columnar
2. Stratified squamous
3. Simple cuboidal
4. Simple columnar

Correct answer: 4. Simple columnar

Explanation: Ans. is 'd' i.e., Simple columnar Gall bladder and common bile ducts are lined by simple columnar epithelium.